Botulinum toxin mimics -
1. Cholinergics
2. Anticholinergics
3. Adrenergics
4. Antiadrenergic

Correct answer: 2. Anticholinergics

Explanation: Ans. is 'b' i.e., AnticholinergicsImportant, anticholinergic drugso Non selectiveAtropineHyosine (scopolamine)o SelectiveM1 blocker -Pirenzepine, TelenzepineM2 blocker - TripitramineM3 blocker - Darifenactino OthersHemicholinium - Decreases choline uptakeVesamicol - Decreases vesicular uptake of ACHBotulinum toxin - Decreases release of ACH.